All are false about tigecycline, except:
1. Dose reduction in renal failure
2. 90% pseudomonas strains are sensitive
3. Oral and parenteral bioavailability is same
4. Not preferred in UTI

Correct answer: 4. Not preferred in UTI

Explanation: Ans. d. Not preferred in UTIRef: Goodman Gilman 12th e/P 1523Tigecycline, doxycycline and minocycline are safe in renal failure.Tigecycline is active against gram negatives with the exception of pseudomonas, providencia, morganella and proteus.Tigecycline has poor bioavailability and hence is given only by parenteral route.Tigecycline is poorly concentrated in urine and hence should be avoided in treatment of urinary tract infection.